Function of hepatic stellate cells is/are:
1. Formation of sinusoids
2. Vit-A storage
3. Increases blood perfusion
4. Phagocytosis

Correct answer: 2. Vit-A storage

Explanation: B i.e. Vit - A storage